Following are recognized F/O Myositis ossificans EXCEPT:
1. It is a post traumatic ossification
2. It follows either a posterior dislocation or a spuracondylar fracture of elbow joint
3. The complication is less likely in children
4. Diagnosis is made with certainty by skiagraphy

Correct answer: 3. The complication is less likely in children

Explanation: C i.e. The complication is less likely in children